Delusions are features of all except ?
1. Delirium
2. Schizophrenic
3. OCD
4. Alcohol withdrawal

Correct answer: 3. OCD

Explanation: Ans. is 'c' i.e., OCD Delusions are seen in psychotic disorders Organic Delirium (Acute confusional state) Substance :- Abuse (alcohol, amphetamines) and withdrawal (alcohol). Non organic Schizophrenia Affect/mood disorders (Mania & depression) Other non-organic psychosis :- Delusional disorders, Schizoaffective disorders. Delusions are not seen in neurotic disorders -, Anxiety disorders obsessive-compulsive disorders, Dissociative (conversion) disorders, Somatoform disorders, Stress-related disorders